Fasciotomy -all of the following are cut except:
1. Skin
2. Superficial fascia
3. Deep fascia
4. Muscles

Correct answer: 4. Muscles

Explanation: Fasciotomy must release skin, superficial fascia and deep fascia. Fig. Forearm fasciotomy Fasciotomy is an emergency procedure used to release pressure in compartment syndrome either due to trauma or infections.